Cornea drives its nutrition chiefly from:
1. Aqueous humour
2. Mucous layer
3. Corneal vessels
4. Perilimbal vessels

Correct answer: 1. Aqueous humour

Explanation: Cornea is avascular and dehydrated structure Gets glucose from aqueous humour Gets oxygen from 3 different source. Air Tear film Aqueous The innermost layer of the tear film is the mucous layer, which consists of secreted mucins, electrolytes and water produced by conjunctival goblet cells Mucin stabilizes the tear film